TSC1 gene plays a vital role in pathogenesis of a neurocutaneous syndrome called Tuberous sclerosis. It is located on which chromosome?
1. Chromosome 16
2. Chromosome 9
3. Chromosome 4
4. Chromosome 3

Correct answer: 2. Chromosome 9

Explanation: TSC1 gene is located on Chromosome 9.
TSC2 gene is located on Chromosome 16.